Under National Rural Health mission who will be the link person between community and health care services?
1. Anganwadi worker
2. TBA
3. ASHA
4. ANM

Correct answer: 3. ASHA